Defect in any of the following may result in renal agenesis except -
1. Nephrogenic bud
2. Ureteric bud
3. Blastema of nephrogenic tissue
4. Failure of descent of nephrogenic tissue to lumbar area

Correct answer: 4. Failure of descent of nephrogenic tissue to lumbar area